Human development index includes -
1. Crude death rate
2. Life expectancy at one year
3. Life expectancy at birth
4. All

Correct answer: 3. Life expectancy at birth

Explanation: Ans. is 'c' i.e., Life expectancy at birth According to 22nd/e of Park, options 'd & e' are not the components of HDI. o Expected years of schooling (not adult literacy rate) and GNI per capita (not GDP) are the components of HDI.